True about second messengers ?
1. Act on intracellular receptors
2. Mediate response of extracellular hormones and neurotransmitter
3. Mediate response of intracellular hormones
4. Act by stimulation of transcription

Correct answer: 2. Mediate response of extracellular hormones and neurotransmitter

Explanation: Ans. is 'b' i.e., Mediate response of extracellular hormones and neurotransmitter